In which phase of cell cycle, proof reading occurs?
1. G1
2. S
3. G2
4. M

Correct answer: 2. S

Explanation: EVENTS PHASE of cell cycle Proofreading S phase Most repairs G1 phase Mismatch repair G2 phase